A tumor arising in a burns scar is likely to be
1. Basal cell carcinoma
2. Squamous cell carcinoma
3. Malignant melanoma
4. Fibrosarcoma

Correct answer: 2. Squamous cell carcinoma

Explanation: Tumor rising from burns scar is marjolins ulcer Marjolin's ulcer refers to an aggressive ulcerating squamous cell carcinoma presenting in an areas of previously traumatized,chronically inflamed, or scarred skin.